Cements in dentistry can be used as:
1. Liners
2. Bases
3. RC fillers
4. All of the above

Correct answer: 4. All of the above